The most common prescription medication for sialorrhea
1. Glycopyrrolate
2. Atropine sulphate
3. Scopolamine
4. Amitriptyline

Correct answer: 1. Glycopyrrolate

Explanation: Traditional medications for the treatment of drooling target the reduction of saliva production using anticholin- ergic mechanisms. While they will reduce salivary output, they do not treat the underlying neuromuscular problems, so some patients may find the anticholinergic side effects out - weigh the benefit of the drug. Additionally, the drying effect these medications have can lead to xerostomia, especially if the patient has a constant open mouth. Glycopyrrolate is the most common prescription medication for sialorrhea and drooling , with atropine sulfate, scopolamine, amitriptyline, and benztropine also being reported in the literature. OnabotulinumtoxinA (Botox ) injections into salivary glands with ultrasonic guidance have shown to be of some benefit in patients who have failed or are intolerant to anticholinergics